. Angloid streaks occur in
1. Sturge-Weber's syndrome
2. Sickle cell disease (SS)
3. Pseudoexfoliation syndrome
4. Septo-optic dysplasia

Correct answer: 2. Sickle cell disease (SS)

Explanation: Angioid streaks are bilateral, narrow, irregular lines deep to the retina configured in a radiating fashion emanating from the optic disc, which result from breaks in a weakened Bruch's membrane. common associations is PEPSI: Pseudoxanthoma elasticum, Ehler-Danlos syndrome, Paget's disease of bone, Sickle cell disease and other hemoglobinopathies, Idiopathic. Ref Harrison20th edition pg 2456